Abductor of vocal cords is
1. Thyroarytenoid
2. Lateral cricoarytenoid
3. Posterior cricoarytenoid
4. Cricothyroid

Correct answer: 3. Posterior cricoarytenoid

Explanation: Abduction of vocal cords is by Posterior cricoarytenoid only. Posterior Cricoarytenoid is a triangular muscle. - Origin: Posterior surface of the lamina of the cricoid cartilage. Origin is medial to insertion. - Insertion: Its fibres pass upwards and backward to the inserted into, the anterior aspect of muscular process of the arytenoid cartilage. Ref: BD Chaurasia's HUMAN ANATOMY, Volume 3, 4th edition.